True about Eponymous fractures is A/E
1. Montegia is of the proximal third of ulna with radial head dislocation
2. Galeazzi is of the distal third of the radius with dislocation of the distal radio-ulnar joint
3. Colles is at cortico-cancellous junction of the distal-end of radius with dorsal tilt
4. Potts Trimalleolar ankle

Correct answer: 4. Potts Trimalleolar ankle

Explanation: D i.e. Potts Trimalleolar ankle